Inhibitor of Complex I of ETC-
1. H2S
2. 2, 4 DND
3. Rotenone
4. BAL

Correct answer: 3. Rotenone

Explanation: Ans. is 'c' i.e., Rotenone Inhibitors of Electron transport chain (Respiratory chain)o Complex I:- Barbiturates (amoborbital), piercidin A, rotenone, ehlorpromazine, guanithidine.o Complex II:- Carboxin, TTFA, malonate.o Complex III:- Dimercaprol, BAL, actinomycin A, Naphthyloquinone.o Complex IV (cytochrome c oxidase) Carbon monoxide (CO), cyanide (CN-), H2S, azide (N3 )